Most hereditary ovarian cancers result from germline mutations in the
1. BRCA1 and BRCA2
2. MSH2
3. PMS1
4. MLH1

Correct answer: 1. BRCA1 and BRCA2

Explanation: Most hereditary ovarian cancers result from germline mutations in the BRCA1 and BRCA2 genes. The mutations are inherited in an autosomal dominant fashion, and therefore a full pedigree analysis (i.e., both maternal and paternal sides of the family history for both breast and ovarian cancer) must be carefully evaluated in all patients with epithelial ovarian cancer, and those withfallopian tube cancer and peritoneal cancer